All are true about Sibson's fascia EXCEPT
1. Attached to inner border of first rib
2. Covers supraclavicular part of lung
3. Modified inner part of scalenus anterior
4. Attached to transverse process of C7

Correct answer: 3. Modified inner part of scalenus anterior

Explanation: Sibson's fascia is a modification of the endothoracic fascia in the supraclavicular region, covering the thoracic inlet. It is a degenerated tendon of scalenus minimus. Attachment : Transverse process of C7 vertebra and inner border of 1st rib. It separates the subclavian artery and vein ( running on the posterio superior surface of the first rib) from the cervical pleura.